Which one of the following is true of hyaline membrane disease of the newborn -
1. Prematurity provides relative protection of the occurrence
2. Maternal steroid exposure increase severity of the disease
3. Phosphatidyl glycerol estimation is a reliable method of diagnosis
4. Surfactant increases the surface tension of a lveoli

Correct answer: 3. Phosphatidyl glycerol estimation is a reliable method of diagnosis

Explanation: Ans. is 'c' i.e., Phosphatidyl glycerol estimation is a reliable method of diagnosis o In HMD surfactant is reduced and its measurement can be used for diagnosis e.g. in shake test. o Constituent of surfactant are - dipalmitoyl phosphatidylcholine (lecithin), phosphatidylglycerol, apoproteins (surfactant proteins ----> SPA, SPB, SPC, SPD) and cholesterol.